First step in Public Health procedure is:
1. Analysis of Programme
2. Planning of programme
3. Situation analysis
4. Appraisal of programme

Correct answer: 3. Situation analysis